Transfer of genetic material by direct physical contact is bacteria in called?
1. Lysogeny
2. Transduction
3. Conjugation
4. Transformation

Correct answer: 3. Conjugation

Explanation: Ref: Textbook of Microbiology, Surinder Kumar pg. 530* Lysogeny does not affect bacterial metabolism. The prophage behaves likes segment of host chromosome and replicates synchronously by binary fission.* Bacterial conjugation is the transfer of genetic material between bacterial cells by direct cell-to-cell contact and is a mechanism of horizontal gene transfer, like transformation and transduction, although these two other mechanisms do not involve cell-to-cell contact.* Transduction is transfer of genetic material from bacteria to bacteria by bacteriophage. It was discovered by Zinder and Lederberg in Salmonella typhimurium. Clinically speaking it provides a way to study gene linkage.* Transformation is the genetic alteration of a cell resulting from the direct uptake and incorporation of exogenous genetic material (exogenous DNA) from its surroundings through the cell membrane.